What is Dohlman's Procedure in Zenker's Diverticulum
1. Endoscopic Suturing of Pouch
2. Endoscopic Stapling of Septum
3. Resection of Pouch
4. Laser excision

Correct answer: 2. Endoscopic Stapling of Septum

Explanation: * Endoscopic Stapling Technique for Pharyngeal Pouch (Zenker's Diverticulum)is known as Dohlman's Procedure. Ref:- Surgery Sixer 3rd Edition; Pg num:- 322